All are true about congenital rubella syndrome, except-
1. Cardiac abnormality
2. Renal anomalies
3. Deafness
4. Cataract

Correct answer: 2. Renal anomalies

Explanation: Ans. is 'b' i.e., Renal anomalies